All except one is recommended treatment for women with IUD in situ positive for actinomyces infection on cervical cytology.
1. No intervention needed
2. Hysterectomy
3. Extended course of antibiotics
4. Removal of IUD

Correct answer: 2. Hysterectomy

Explanation: Hysterectomy is not advised for treatment of actinomyces infection.